A patient presents with sudden onset of breathlessness after a subclavian vein cannulation. On examination, breath sounds are absent while the chest is hyper-resonant on percussion on one side. Most likely cause is:
1. latrogenic Pneumothorax
2. Subclavian Vein air embolus
3. Malposition of cannula
4. Cardiac Arrhythmia

Correct answer: 1. latrogenic Pneumothorax

Explanation: Answer is A (Iatrogenic Pneumothorax): Subclavian vein cannulation is an important cause of iatrogenic pneumothorax. Absence of breath sounds and Hyper-resonance of chest wall on percussion alongwith sudden breathlessness after attempted subclavian vein cannulation suggests a diagnosis of Iatrogenic Pneumothorax. Common causes of Iatrogenic Pneumothorax (Decreasing order of frequency) Transthoracic Needle Lung Biopsy Subclavian vein cannulation Thoracocentesis Pleural Biopsy Positive Pressure ventilation Iatrogenic Pneumothorax History History of Procedure known to cause iatrogenic pneumothorax (subclavian vein cannulation) Sudden onset Breathlessness Chest discomfort / chest pain Examination Inspection/ palpatum * Reduced movements over affected side * Mediastinal shift to opposite side * Decreased vocal fremitus Percussion Hyper-resonant Auscultation Diminished or absent breath sound